Area number for Motor area include
1. 4 & 6
2. 1, 2 & 3
3. 5 & 7
4. 16 & 18

Correct answer: 1. 4 & 6

Explanation: 4 & 6 {Description: Bradman's areas of Cerebral cortex)